INH induced peripheral neuropathy results from deficiency of vitamin
1. B1
2. B2
3. B12
4. B6

Correct answer: 4. B6

Explanation: Pyridoxine (vitamin B6) is admistered for the prevention as well as treatment of Isoniazid induced peripheral neuropathy Ref KDT 6/e p741